What is the drug of choice for idiopathic intracranial hypertension (I.I.H)?
1. Acetazolamide
2. Glycerol
3. Mannitol
4. Dexamethasone

Correct answer: 1. Acetazolamide

Explanation: Acetazolamide -Most effective agent for lowering ICP in idiopathic intracranial hypertension. In Acetazolamide intolerance, furosemide may be used For headaches-Amitriptyline, propranolol. For progressive loss of visual field -High dose oral prednisone. -Some patients experience deterioration of their visual function, surgical intervention may be considered. 1. Optic nerve sheath fenestration (decompression) 2. Cerebrospinal fluid (CSF) diversion ( lumbo-peritoneal or ventriculo-peritoneal shunt)